Non absorbtion of fat soluble vitamins is due to:
1. Steatorrhea
2. Pancreatic endocrine insufficiency
3. Both
4. None

Correct answer: 1. Steatorrhea

Explanation: Answer is A (Steatorrhea) Steatorrhea is typically defined as increased excretion of fat in stool (excretion of> 7.0 gm of fat in stool during 24 hours while the patient is on a diet containing no more than 100gm of fat per day). Steatorrhea essentially represents malabsorption of fat. This may be caused by several conditions including: Acute or chronic Liver disease / Biliary Disease Mucosal disease (eg. Celiac disease / Crohn's disease) Reduced absorptive surface (Small Bowel Syndrome) Malabsorbtion offal soluble vitamins is typically seen in steatorrhea and pancreatic exocrine deficiency (not pancreatic endocrine deficiency). Reduced contact time (Laxative abuse, Carcinoid syndrome) Disturbed mesenteric blood supply (Mesenteric ischemia) Disturbed mesenteric lymphatic drainage (Tuberculosis, Malignancy) Pancreatic exocrine deficiency (Reduced Pancreatic Lipase)